Bascom technique is employed in surgery of
1. Rectal prolapse
2. Anal incontinence
3. Pilonidal sinus
4. Fistula- in- ano

Correct answer: 3. Pilonidal sinus

Explanation: Pilonidal sinus(Jeep bootom or Driver's bottom) is epithelium lined tract, situated short distance behind the anus, containing hairs and unhealthy diseased granula- tion tissue. It is due to penetration of hairs through the skin into subcutaneous tissue; occurs in sacral region between the buttocks, umbilicus, axilla. Bascom technique of excision through lateral approach is a good method of treatment. Through small lateral incision or multiple small lateral incisions 2-4 mm sized sinus is approached and pus is drained; hairs are removed with only minimal excision of sinus. Cavity walls are not excised. Lateral small wounds are either sutured or left open for spontaneous healing. Reference : page 968 SRB's manual of surgery 5th edition